Declaration of Sydney is related to ?
1. Time of death
2. Infliction of torture
3. Therapeutic abortion
4. Humanitarian goals of medicine

Correct answer: 1. Time of death

Explanation: Ans. is 'a' i.e., Time of death Declaration of SydneyThe advent of organ transplantation made this Declaration a guide to determining the time of death of the comatose donor. "Brain death" has displaced "cardiac death" as the essential criterion; and the diagnosis must be made before there is organ death.The Declaration also states that "If transplantation of an organ is onvolved, the decision that death exists should be made by one or more physicians; and the physicians determining the moment of death should in no way be immediately concerned with the performance of the transplant."This makes for objectivity. But it is incorrect to say that "death exists" or refer to "the moment of death". The patient is not dead until after life support has been withdrawn.